Gluteus medius is supplied by
1. Superior gluteal nerve
2. Inferior gluteal nerve
3. Nerve to obturator intemus
4. Nerve to quadratus femoris

Correct answer: 1. Superior gluteal nerve

Explanation: SUPERIOR GLUTEAL NERVE Root value: L4,L5,S1Course: enters the gluteal region through greater sciatic notch above pyriformis muscle. Runs between gluteus medius and gluteus minimus to end in tensor fascia lata. Branches :-it supplies 1. Gluteus medius 2. Gluteus minimus3. Tensor fascia lata {Reference: BDC 6E pg no. 173}